All of the following may be seen in ventricular premature beats, Except:
1. Fusion beat
2. Narrow QRS complex
3. AV Dissociation
4. Wide QRS complex

Correct answer: 2. Narrow QRS complex

Explanation: Answer is B (Narrow QRS complex) Premature Ventricular beats are characterized by a wide QRS Complex and not a narrow QRS complex. AV dissociation, Fusion beats and capture beats may be observed when three or more than three PVC's occur in succession.